False regarding Austin-Flint murmur is:
1. Systolic murmur
2. Severe aortic regurgitation
3. Originates at anterior mitral valve leaflet
4. May be confused with Murmur of mitral stenosis

Correct answer: 1. Systolic murmur

Explanation: Ans. A: Systolic murmur Austin-flint murmur is a mid-diastolic/presystolic murmur heard in chronic severe AR. The diastolic murmur mimics mitral stenosis and is attributed to mitral valve leaflet vibration or mild obstruction caused by rapid regurgitant flow both from the aortic root and the left atrium.